Bleeding spots seen on removal of scales in psoriasis is called as:
1. Auspitz sign
2. Punctuate hemorrhage
3. Nikolyski's sign
4. Darriersign

Correct answer: 1. Auspitz sign

Explanation: A. (Auspita sign) On removal of scales bleeding spot is called auspitz sign Punctate haemorrahage is also found in psoriasis - Neena Khanna 3rd/ 40PsoriasisAuspitz sign a characterstic finding of plaque psoriasis in which removal of scales leads to pinpoint bleedingCharacteristically presents with silvery mica scaleTypical lesions are erythematious (salmon pink/red), raised, scaly, well demarcated plaques on extensor aspect of trunk&limbs preferentially; the knees, elbows & scalp areespecially affected, although the mucosa seem to be spared.Micro-munro abscess: collection of polymorphs in stratum corneumGrattage Test- on scratching scales appearKoebner's/ Isomorphic phenomenon Psoriasis appears at the site of minor injury such as scratch or graze. It is characterstic of psoriasis , but is also seen in Lichen planus , & discoid lupus erythematosus Wornoff Ring- White hypopigmented halo around erythematous plaque Candle grease sign & BurkleyJs membraneLiching is very uncommonAlopecia, Mucosal involvement & CNS involvement is not seen.Psoriatic arthropathy is uncommon (5%) ; and involves distal interphalyngeal joint, a characteristic features which differentiates it from rheumatoid arthritisIn In nails* Onycholysis (seperation of nail plate from naibed)* Thimble-pitting of nail plate* Brown black discoloration